Doges Cap Sign is ?
1. Air under Diaphragm
2. Air in Morrisons Pouch
3. Air on either side of Bowel Wall
4. Air under central tendon of Diaphgram

Correct answer: 2. Air in Morrisons Pouch

Explanation: A) Air in Morrisons Pouch - Doges Cap Sign. B) Air on either side of Bowel Wall - Riglers Sign. C) Air under central tendon of Diaphgram - Cupola Sign.